Lineage specific T Cell marker is
1. CD 1
2. CD 19
3. CD 3
4. CD 4

Correct answer: 3. CD 3

Explanation: CD 3 is considered as lineage specific for Tcells.